Diagnosis of myasthenia gravis is done by using:
1. Edrophonium
2. Neostigmine
3. Succinylcholine
4. Atropine

Correct answer: 1. Edrophonium

Explanation: Ans. (A) Edrophonium(Ref: KDT 8th/e p120-121)Myasthenia gravis can be differentiated from cholinergic crisis with the help of a short acting anticholinesterase agent, edrophonium. It improves the symptoms in myasthenia gravis whereas worsens the condition in cases of cholinergic crisis. Neostigmine is used for the treatment of myasthenia.